Most common cause of delayed puberty in males is:
1. Kallman syndrome
2. Klinefelter syndrome
3. Constitutional
4. Prader-willi syndrome

Correct answer: 3. Constitutional

Explanation: DELAYED PUBERTY: More common in boys Delayed puberty in boys - lack of pubertal changes by 14 yrs of age Most common cause of delayed puberty is constitutional. Constitutional delay in puberty in boys: Have growth retardation & delayed bone age Family history of delayed puberty is present Gonadotropin levels - prepubertal - similar to hypogonadotropic hypogonadism